Apple jelly nodules on the nasal septum are found in cases of -
1. Tuberculosis
2. Syphilis
3. Lupus Vulgaris
4. Rhinoscleroma

Correct answer: 3. Lupus Vulgaris

Explanation: Characteristic feature of lupus vulgaris is the presence of apple- jelly nodules (Brown gelatinous nodules) in skin.